All of the following are seen in Systemic Juvenile Arthritis, except –
1. Rheumatoid Factor + ve
2. Hepatosplenomegaly
3. High fever with rash
4. Elevated E.S.R.

Correct answer: 1. Rheumatoid Factor + ve

Explanation: Systemic JRA

Illness begins as intermittent fever rising upto 39° or (may precede joint involvement by several weeks and even upto 6 months)
There is a characteristic cavenescent maculopapular rash with central clearing
Lymphadenopathy and Splenomegaly may be present
Pericarditis and Interstitial lung disease may be present
Investigations show :


Immoderate neutrophilic leucocytosis
Elevated ESR   
RF -ve 
ANA can be demonstrated 

Remember

Eye manifestation (Iridocyclitis) can occur in both pauciarticular and polyarticular JRA and absent in systemic JRA
ANA can be present in all forms of JRA.
Rheumatoid factor & Rheumatoid Nodule are (+ve) only in some cases of polyarticular form.
Rashes, Splenomegaly and lymphadenopathy are present in system JRA.